Digitalis has positive inotropic effect-by the virtue of its effect on:
1. Na+ K+ ATPase pump
2. Na Glucose channels
3. H+K+ ATPase pump
4. Calcium Pump

Correct answer: 1. Na+ K+ ATPase pump

Explanation: Digitalis binds selectively to Na+ K+ATPase and inhibits this pump. 
Thus it increases intracellular Na+ and decreases extrusion of Ca2+